Which of the following is not an oncogenic virus?
1. Hepatitis C virus
2. HPV
3. EBV
4. Hepatitis A virus

Correct answer: 4. Hepatitis A virus

Explanation: Although many viruses can cause various tumors in animals, only seven of them are associated with human cancers and are currently considered oncogenic viruses. These viruses include hepatitis B virus (HBV), hepatitis C virus (HCV), human papillomavirus (HPV), Epstein Barr virus (EBV), human herpes virus 8 (HHV8), Merkel cell polyomavirus (MCPyV), and HTLV-1. Ref : Ananthanarayana textbook of Microbiology 9th edition Pgno : 541